Bacillary angiomatosis is caused by:
1. B. henselae
2. B. pertussis
3. R. Conorii
4. A. action mycetemcomitans

Correct answer: 1. B. henselae

Explanation: Ans. A. B. henselaeBacillary angiomatosis, a treatable opportunistic infection, was initially reported as atypical subcutaneous infection in patients with advanced HIV disease and as epithelioid angiomatosis. The agents causing this infection, initially designated as Rochalimaea, have been reclassified as Bartonella. The term bacillary angiomatosis is being replaced by Bartonella infection because the infectious agents causing this condition have been identified as two species of Bartonella - B. henselae and B. Quintana. Bartonella henselae is most often transmitted through a cat scratch or bite, though ticks and fleas may also act as a vector. Bartonella quintana is usually transmitted by lice.It can manifest in people with AIDS and rarely appears in those who are immunocompetent